Which of following is not derived from first pouch?
1. Auditory tube
2. External acoustic meatus
3. Tympanic cavity
4. Mastoid antrum

Correct answer: 2. External acoustic meatus

Explanation: Ans. is'b' i.e., External acoustic meatus Ref: Langman's Medical Embryology 12th/e p. 326,366